Acromegaly results due to excessive release of:
1. Thyroxine
2. Growth hormone
3. Insulin
4. Glucagon

Correct answer: 2. Growth hormone

Explanation: Ans. B. Growth hormoneIn Acromegaly there is excessive release of Growth Hormone. It occurs after the epiphyseal closure and is characterized by increase in the size of hands, facial changes, excessive hair, thickening of skin etc.